A single immunoglobulin molecule contains -
1. 1 light chain, 1 heavy c hain
2. 2 heavy chains, 1 light
3. 2 light chains, 2 heavy chains
4. 2 light chains, 1 heavy chain

Correct answer: 3. 2 light chains, 2 heavy chains

Explanation: They are typically made of basic structural units--each with two large heavy chains and two small light chains. Ref: Ananthanarayan & Parker's textbook of microbiology 9th edition pg: 94